A patient with CHF with LVEF <40% should be given?
1. ACEI + beta blocker
2. ACEI + furisemide
3. ACEI + CCB
4. ACEI + ARB

Correct answer: 1. ACEI + beta blocker

Explanation: Answer- A. ACEI + beta blockerPatient of heart failure with reduced resection fraction are treated by a combination of drugs.Drug combination- ACE inhibitors + beta blockers